Most efficient removal of hard tissue is done by
1. Er laser
2. Argon visible laser
3. Nd:YAG
4. HO: YAG

Correct answer: 1. Er laser